Which vaccine is not given in AIDS patients -
1. DPT
2. BCG
3. Rabies
4. Measles

Correct answer: 2. BCG

Explanation: Symptomatic HIV infected children should not be given oral polio and BCG vaccines Ref Harrison 20th edition pg 877